Chest X-ray findings in tuberculosis associated with HIV are all except:
1. Disseminated tuberculosis
2. Lupus vulgaris
3. Pleural effusion
4. Hilar lymphadenopathy

Correct answer: 2. Lupus vulgaris

Explanation: Ans. B: Lupus vulgaris Lupus vulgaris is a cutaneous manifestation of tuberculosis.